Serotype of Adeno virus causing gastroenteritis is
1. 40, 41
2. 1,2, 3, 4
3. 20, 21
4. 11, 21

Correct answer: 1. 40, 41

Explanation: Ans: a) 40.41 Ref: Text book of Microbiology Anantha narayanan 8th editionAdeno vimsNonenveloped ds DNA virusMostly in childrenPotential vactors in gene therapySpace vehicle shapedDiseasesRespiratory tract & eyes - most commonBladder & intestine - occasionallyDiseasesSerotypesPharyngitisTypes 1-7PneumoniaTypes 3 & 7Epidemic keratoconjunctivitis (shipyard eye)type 819 & 37 (rarely)a/c follicular conj (swimming pool)3, 4 & 11Diarrfiea40.41a/c hgic cystitis11 & 21Phayngo conjunctival fever3, 7 &14